Calcium absorption from gut is enhanced by
1. Parathyroid hormone
2. Calcitonin
3. 1,25 dihydroxy cholecalciferol
4. All

Correct answer: 3. 1,25 dihydroxy cholecalciferol

Explanation: Calcitriol -1,25-dihydroxycholecalciferol; a form of vitamin D used as a calcium regulator in the management of hypocalcemia in conditions such as rickets, osteodystrophy, hypoparathyroidism, and complications of renal dialysis; administered orally or intravenously.Ref: Ganong's review of medical physiology; 24th edition; page no:-377